Which of the following adaptations will be apt to increase the work capacity at high altitude:
1. Increasing workload, decreasing duration of exercise
2. Increasing workload, increasing duration of exercise
3. Decreasing workload, increasing duration of exercise
4. Decreasing workload, decreasing duration of exercise

Correct answer: 3. Decreasing workload, increasing duration of exercise

Explanation: The limiting factor at high altitude is the 'rate of oxygen uptake. By increasing the workload (resistance), will increase the required rate of oxygen uptake which is not available at a high altitude. Hence a Decrease in workload, and an increase in the duration of exercise is best suited for increased work capacity. Ref: High Altitude: An Exploration of Human Adaptation By Robert Schoene, Page 496; Understanding Medical Physiology: A Textbook for Medical Students By R.L. Bijlani, M.D., RL Bijlani MD SM DSc (Hon Causa) FAMS, S. Manjunatha, M.D., Page 285